CA 125 is elevated in all except :
1. Tuberculosis
2. Endometriosis
3. Ovarian tumor
4. Polycystic ovarian disease

Correct answer: 4. Polycystic ovarian disease

Explanation: CA-125

This is a non-specific tumor marker
CA-125 is a glycoprotein which is normally not produced by ovarian epithelium but may be produced by both malignant and benign epithelial ovarian tumors.
Cut off level of CA-125 is < 35 U/mL.